Most common bile duct tumor is
1. Adenocarcinoma
2. Squamous cell carcinoma
3. Transitional cell carcinoma
4. All

Correct answer: 1. Adenocarcinoma

Explanation: Refer Robbins page no 874